The immediate complication of vesicular mole evacuation is :
1. Bleeding
2. Infection
3. Incomplete evacuation
4. Sepsis

Correct answer: 1. Bleeding

Explanation: Bleeding